Which of the following drugs is taken during the first part of the meal for the purpose of delaying absorption of dietary carbohydrates ?
1. Acarbose
2. Glipizide
3. Nateglinide
4. Pioglitazone

Correct answer: 1. Acarbose